Oral contraceptive pills do not decrease risk of :
1. STDs
2. Benign breast disease
3. Ovarian cyst
4. Ectopic pregnancy

Correct answer: 1. STDs

Explanation: STDs